Liver biopsy is normal in -
1. Dubin johnson syndrome
2. Gilbert syndrome
3. Hemochromatosis
4. Wilson's disease

Correct answer: 2. Gilbert syndrome

Explanation: Ans. is 'b' i.e., Gilbert syndromeLiver pathology is normal in Gilbert, Crigler Najjar, Rotor Syndrome.o In Dubin Johson syndrome liver is darkly pigmented. Liver biopsy is not normal in wilson's disease, Hemochromatosis.